Which of the following favours filtration at the arteriolar end of the capillary bed
1. Decrease in hydrostatic pressure of capillaries
2. Increase in hydrostatic pressure of capillaries
3. Increase in oncotic pressure of capillaries
4. Decrease in oncotic pressure of interstitium

Correct answer: 2. Increase in hydrostatic pressure of capillaries

Explanation: For filtration to take place at the capillaries, the hydrostatic pressure should be more in capillaries than the interstitium, or the oncotic pressure in capillaries should be less than that in the interstitium.